Vagabond disease
1. Louse
2. Mite
3. Tick
4. Black Fly

Correct answer: 1. Louse

Explanation: Ans. is 'a' i.e., Louse Vagabond's disease is pediculosis eorporis, caused by body louse.